All cranial nerves are confined to the head and neck with exception of
1. One
2. Two
3. More than two
4. None of the above

Correct answer: 1. One